Modified Childpugh score components ail except-
1. S. bilirubin
2. INR
3. Encaphalopathy
4. Nutritional status

Correct answer: 4. Nutritional status

Explanation: Ans. is 'd' i.e., Nutitional status Child pugh score - Ask child turcotte pugh score :o This score is/as originally developed to evaluate the risk of portacaval shunt for portal hvpertention in cirrhotic patients. It has been shown to be useful in predicting surgical risks of other intrabdominal operations performed on cirrhotic patients.Variable1 points2 points3 points1. Bilirubin level2. Albumin level3. INR4. Encephalopathy5. Ascitis< 2 mg/dl>3.5 mg/dl<1.7NoneNone2-3 mg/di2.8-3.5 mg/di1.7-2.2ControlledControlled>3 mg/di<2.8 mg/di>2.2UncontrolledUncontrolledClass - Class A - 5-6 points 10% MortalityClass B - 7-9 points 30% MortalityC lass C -10-15 points 75-80% Mortalityo Originally (before modification by child et al), this score consisted of Nutritional status in place of INR.